Ureter develops from?
1. Mesonephric tubules
2. Mesonephric duct
3. Urogenital sinus
4. Paramesonephric duct

Correct answer: 2. Mesonephric duct

Explanation: Mesonephric duct.In human embryos, three sets of slightly overlapping kidney systems are formed in a cranial to caudal sequence: the pronephros, mesonephros, and inetanephros. The first one - the pronephros is rudimentary and non functional; the second set of kidney - the mesonephros - are well developed and function briefly during the early fetal life; the third - the inetanephros - forms the permanent kidneys.PronephrosMcsonephrosa. metanephric mesoderm, which provides' excretory units andb. the ureteric bud, or onetanephric diverticulum which gives rise to the collecting system.